Anesthesia agent with least analgesic property
1. N20
2. Halothane
3. Ether
4. Propane

Correct answer: 2. Halothane

Explanation: B i.e. Halothane